Which of the following is the true action of pralidoxime on cholinesterase enzyme?
1. Promoting synthesis of cholinestrase
2. Promoting synthesis of acetyl choline
3. Reactivating cholinesterase enzyme
4. Direct action on cholinergic receptors

Correct answer: 3. Reactivating cholinesterase enzyme

Explanation: 2-PAM is effective in organophosphate poisoning but is contraindicated in carbamate poisoning.